A 25 year old women presents with recurrent abdominal pain and anaemia. Peripheral blood smear shows basophilic stippling of the RBCs. What is the most likely diagnosis?
1. Coeliac disease
2. Hookworm disease
3. Sickle cell disease
4. Lead poisoning

Correct answer: 4. Lead poisoning

Explanation: Basophilic stippling a.k.a Punctate basophilia These inclusions are precipitated ribosomal RNA. Stippling is observed in cases of: Hemoglobinopathies Dys-erythropoietic states like: Lead poisoning megaloblastic anemias thalassemias sideroblastic anemias Alcoholism Pyriinidine-5- nucleotidase deficiency RBC inclusions: Inclusion Content Howell- Jolly body DNA Basophilic stippling RNA Pappenheimer body Iron Heinz body Denatured Hb Cabot ring Mitotic spindle remnant